A child presented with intellectual disability and spastic limbs with h/o perinatal distress. Diagnosis:
1. Cerebral palsy
2. HIE
3. Down's syndrome
4. Edward syndrome

Correct answer: 1. Cerebral palsy

Explanation: a. Cerebral palsy(Ref: Nelson's 20/e p 2896-2899, Ghai 8/e p 581-583)The CNS consequences and Sequelae due to perinatal asphyxia is referred as cerebral plasy.